All of the following may be associated with fibroid except.
1. Pseudo-Meig's syndrome
2. Polycethemia
3. Amenorrhea
4. Dysmenorrhea

Correct answer: 3. Amenorrhea

Explanation: Ans. is c, i.e. Amenorrhea(Ref: Williams Gynae 3rd/ed, p206)There is absolutely no confusion now that fibroids can lead to polycythemia especially a broad ligament fibroid.Fibroids can lead to 2deg dysmenorrhea --"Spasamodic dysmenorrhea is pwssible when a submucous tumor stimulates expulsive uterine contractions but is not common" - Jeff orate 9th/ed, p586."Leiomyomas occasionally may cause pseudo- Merig syndrome." - Williams Gynae 3rd/ed, p206.